A 50 year old man suffering from carcinoma of prostate showed areas of sclerosis and collapse of T10 and T11 vertebrae in X-ray. The spread of this cancer to the above vertebrae was most probably through -
1. Sacral canal
2. Lymphatic vessels
3. Internal vertebral plexus of veins
4. Superior rectal veins

Correct answer: 3. Internal vertebral plexus of veins

Explanation: Vertebral metastasis in prostate cancer is explained by the prostatic veins which drain into internal vertebral venous plexus (Batson’s vertebral plexus).